A 10 year old male child presents with pallor and h/o blood transfusion 2 months back. On investigation, Hb-4.5 gms, Total count-60,000,Platelet count-2 lakhs and CD 10+ve, CD 19+ve, CD 117 +ve, MPO +ve and CD 33 -ve. What is the most probable diagnosis?
1. ALL
2. AML
3. Undifferentiated leukemia
4. Mixed phenotypic a/c leukemia

Correct answer: 4. Mixed phenotypic a/c leukemia

Explanation: . Mixed phenotypic a/c leukemia